Normal IOP is range is ____________
1. 10 - 15 mmHg
2. 5 - 10 mmHg
3. 11 - 21 mmHg
4. 9 - 25 mmHg

Correct answer: 3. 11 - 21 mmHg